All of the following statements about Acute Attack in gouty arthritis are true, except:-
1. Joint aspirate reveals negative birefringent crystals
2. Allopurinol should be started immediately
3. Colchicine is known to provide relief
4. Serum uric acid levels may be normal

Correct answer: 2. Allopurinol should be started immediately

Explanation: Answer is B (Allopurinol should be started immediately): Allopurinol should not be started immediately in acute attack of gout as it may precipitate acute symptoms. The mainstay of treatment in acute gouty arthritis is the administration of anti inflammatory drugs such as NSAID, Cochicine and /or glucocorticoids. Allopurinol should not be started immediately in Acute attack of Gout Allopurinol should never be started in acute gout as it may actually precipitate an acute attack. Anti inflammatory drugs such as NSAIDs are the drugs of choice in acute gout. Joint aspirate typically reveals strongly negative birefringent needle shaped crystals Definitive diagnosis of gout requires aspiration of the involved joint and demonstration of intracellular monosodium urate crystals in synovial fluid. Under polarized light these are demonstrated as "strongly negative birefringent needle shaped crystals." Tophi are aggregates of monosodium urate monohydrate crystals that form in extra articular and articular structures and cause deformity and destruction of hard and soft tissue. Serum uric acid levels may be normal in Acute Gout Gout is caused whenever; synovial fluid is supersaturated with uric acid, irrespective of serum concentration of uric acid. The serum levels of uric acid can be normal or even low at the time of an attack and hence its determination is not diagnostic for gout. `Serum uric acid levels may be normal or low at the time of an acute attack, as inflammatory cytokines can be uricosuric and effective initiation of hypourecemic therapy can precipitate attacks. This limits the value of serum uric acid determination for the diagnosis of gout '- Harrison's 18th/2838